True statement regarding `tuberculine test' is ?
1. Used for diagnosis of TB
2. Measures incidence of disease
3. More than 1 Omm induration in 72 hrs. indicates positive test
4. Measure immunity status

Correct answer: 3. More than 1 Omm induration in 72 hrs. indicates positive test

Explanation: Ans. is 'c' i.e., More than 10 mm induration in 72 hrs indicates positive test Repeat tuberculin test (two step testing) o Induration is measured, erythtna is not taken into account. Uses of tuberculin test o Diagnosing active infection in infants and young children. o Measure prevalence of infection. o Select susceptibles. o As an indication of sucessful vaccination.